The shortest diameter of the pelvic inlet is -
1. Obstetric conjugate
2. True conjugate
3. Diagonal conjugate
4. Transverse diameter

Correct answer: 1. Obstetric conjugate